Life span of neonatal RBC -
1. 60-90 days
2. 90-120 days
3. 120-150 days
4. 150-200 days

Correct answer: 1. 60-90 days

Explanation: Ans. is 'a' i.e., 60-90 days o Life span of neonatal RBCs- 60-90 days,o Life span of RBCs of premature newborn- 30-50 days.o Life span of RBCs in older children- 100-120 days.o Life span of adult RBCs- 120 days.